The Children's Act 1960 provide for care, maintenance, training and rehabilitation of which of the following?
1. Under 5 children
2. Delinquent children
3. Socially deprived children
4. Physically handicapped children

Correct answer: 2. Delinquent children

Explanation: The Children's Act 1960 provides for care of delinquent children. Delinquent children are those who show deviation from normal behaviour and have committed an offence. Ref: Park 21st edition page: 645.